Auditory impulse relays to
1. Inferior geniculate ganglion
2. Medial geniculate body
3. Medial lemniscus
4. Superior colliculus

Correct answer: 2. Medial geniculate body

Explanation: (B) Medial geniculate body > The afferent fibers in the auditory division of the eighth cranial nerve end in dorsal and ventral cochlear nuclei.> From there, auditory impulses pass by various routes to the inferior colliculi, the centers for auditory reflexes, and via the medial geniculate body in the thalamus to the auditory cortex.> Other impulses enter the reticular formation. Information from both ears converges on each superior olive, and beyond this, nrnst of the neurons respond to inputs from both sides.> The primary auditory cortex is Brodmann's area 41. In humans, low tones are represented anterolaterally and high tones postero-medially in the auditory cortex.